Double based smokeless gun powder consist of -
1. Nitrocellulose plus nitroglycerine
2. Nitrocellulose plus sulphur
3. Potassium nitrate plus nitroglycerine
4. Potassium nitrate plus charcoal

Correct answer: 1. Nitrocellulose plus nitroglycerine

Explanation: The synopsis of forensic medicine & toxicology ; Dr k.s narayan reddy ; 28th edition ; Pg.no. 125 Nitrocellulose -single base Nitrocellulose & nitroglycerin - double base Nitrocellulose, nitroglycerin, nitroguanidine - triple base